In acute diarrhea following is used to decrease duration and severity -
1. zn
2. mg
3. fe
4. ca

Correct answer: 1. zn

Explanation: Recent studies suggest that administration of zinc along with new low osmolarity oral rehydration solutions / salts (ORS), can reduce the duration and severity of diarrheal episodes for up to three months. Reference: GHAI Essential pediatrics, 8th edition